Other than nitrogen and oxygen, which one of the following is the most abundant gas in the earth's atmosphere?
1. Argon
2. Carbon dioxide
3. Hydrogen
4. Methane

Correct answer: 1. Argon

Explanation: Atmosphere composition Nitrogen 78% O2 21% Argon 0.9% CO2 0.03%